Condition where pulsatile tumor is found in external auditory meatus which bleed on touch
1. Cholesteatoma
2. Polyp
3. Glomus tumor
4. Malignancy middle ear

Correct answer: 3. Glomus tumor

Explanation: Glomus tumour presents as red vascular polyp filling external auditory meatus and bleeds profusely on manipulation. Ref: Dhingra 6th edition pg. 109